Alpha-amylase acts on which bond?
1. Alpha 1-4 bond
2. Alpha 1-6
3. Beta 1-4
4. Beta 1-6

Correct answer: 1. Alpha 1-4 bond

Explanation: Salivary amylase and pancreatic amylase are alpha-amylases, which act at random on alpha- 1,4 glycosidic bonds to split starch into smaller units (dextrins), and finally to alpha-maltose.Ref: DM Vasudevan, page no: 69